All are seen in acute Iridocyclitis except:
1. Pain
2. Ciliary congestion
3. Mucopurulent discharge
4. Small pupil

Correct answer: 3. Mucopurulent discharge

Explanation: C i.e. Mucopurulent discharge Mucopurulent discharge is a feature of acute conjunctivitis not acute iridocyclitisQ.